Which of the following is involved in amyotrophic lateral sclerosis?
1. Raphae nucleus
2. Lower motor neuron
3. Posterior column
4. Anterior and posterior column

Correct answer: 2. Lower motor neuron

Explanation: Ans. B. Lower motor neurona. Amyotrophic lateral sclerosis is the most common form of progressive motor neuron disease.b. The pathology of motor neuron degenerative disorders involves lower motor neurons (consisting of anterior horn cells in spinal cord and their brainstem homologues innervating bulbar muscles) and upper or corticospinal motor neurons (emanating from layer 5 of motor cortex to descend via the pyramidal tract to synapse with lower motor neurons, either directly or indirectly via interneurons).